What is the investigation of choice in a patient with blunt abdominal trauma with hematuria?
1. USG of the abdomen
2. CECT
3. IVP
4. Retrograde urogram

Correct answer: 2. CECT

Explanation: Ans is b i.e. CECT